Tolerance develops to all of the following effects of opioids except
1. Constipation
2. Miosis
3. Convulsions
4. All of the above

Correct answer: 4. All of the above

Explanation: Decreased effects are seen with continuous usage of opioids except for miosis, constipation, and convulsions.Ref: HL Sharma 3rd ed Pg: 508